Gastric wash contraindicated in:
1. Oxalic acid
2. Sulphuric acid
3. Opiate
4. Dhatura

Correct answer: 2. Sulphuric acid

Explanation: Sulphuric acid